Most common cause of abdominal swelling in newborn
1. Multicystic dysplastic kidney
2. Autosomal dominant PCKD
3. Autosomal recessive PCKD
4. Horseshoe Kidney

Correct answer: 1. Multicystic dysplastic kidney

Explanation: It is dysplastic , non functional kidney replaced by cysts.
It is usually U/L : B/L is not compatible with life.